Polyuria is urine output more than _________ lit/day
1. 1
2. 2
3. 3
4. 4

Correct answer: 3. 3

Explanation: excessive or abnormally large production and/or passage of urine (>3 L per day in adults). Frequent urination -- accompanying syndrome Diuresis -- increased production and passage of urine Mechanisms of polyuria Due to excretion of increased nonabsorbable solutes(such as glucose) -- SOLUTE DIURESIS Due to excretion of increased water(from a defect in ADH production or renal responsiveness) -- WATER DIURESIS Polyuria is urine output of > 3 L/day Oliguria, defined as <400 mL/24 h Anuria is the complete absence of urine formation (<100 mL) in 24 hr ref : Harrisons 20th ed pg: 292